The force generating proteins are -
1. Myosin and myoglobin
2. Dynein and kinesin
3. Calmodulin and G protein
4. Troponin

Correct answer: 2. Dynein and kinesin

Explanation: Molecular motors - Kinesin, dynein, dynamin and myosin.
Molecular motors are important for generating power for various cellular functions like cell division, vesicular transport, muscle contraction, nuclear migration etc.